The ground glass ventricular septum is seen in
1. TOF
2. HOCM
3. TGA
4. CHF

Correct answer: 2. HOCM

Explanation: Four bump heartMS/MR Due to left atrial appendage enlargementGlassy heart on ECHOAmyloidosisDouble Cardiac shadow, Double density sign, Bedford signLeft Atrial EnlargementDock's sign, E-Sign, Figure of 3 sign, Reversed E sign, Inverted 3 signCoarctation of the aortaDouble aortic knuckleAortic dissectionJughandle appearancePrimary pulmonary hypertensionMaladie de Roger effectsmall VSDHilar dance (Pulmonary plethora)ASDBox-shaped heartTricuspid atresiaWater bottle / Flask shaped heart / Leather bottle / Pear shaped / money bag heart/Purse like heart/Epicardial fat pad signPericardial effusionCoeur en Sabot ie., Boot shaped heartTetrology of heartSpade-like deformity on ECHOAtypical HOCMEgg in Cup appearance, Square root signConstrictive PericarditisInverted moustache signMitral stenosisEgg on side appearance, Egg shaped heart, Egg in StringD-Transposition of great arteries (D-TGA)Convex left heart borderL-TGAGround glass ventricular septumHypertrophic Obstructive Cardiomyopathy (HOCM)Straight left upper cardiac borderEbstein's anomalyConcave main pulmonary segment and right aortic archPersistent TruncusArteriosusSnowman sign, Figure of 8 sign, Cottage loaf signTotal Anomalous Pulmonary Venous Connection (TAPVC)Gooseneck signAtrio-ventricular septal defectTubular heartEmphysemaStag antler / Hands up signCCFSchimitar sign / Turkish sword appearanceCongenital venolobar syndromeSitting duck signpersistent TruncusArteriosusYin Yang SignPseudoaneurysmSmall heart signTension PneumopericardiumHigh attenuating Crescent signImpending rupture of an abdominal aortic aneurysmDraped Aorta signContained rupture of an abdominal aortic aneurysm(Ref: Problem Solving in Radiology: Cardiovascular Imaging by SuhnyAbbara and SanjeevaKalva)